The following is/are true of a descending aortic dissection:
1. It originates distal to the subclavian artery.
2. It is usually found in hypertensive patients.
3. It may extend the entire length of the aorta.
4. All of the above

Correct answer: 4. All of the above

Explanation: Descending Aorta dissections Almost always seen in hypertensive patients. Diagnosis is made by locating the tear in the aorta distal to the left subclavian artery. Type III dissections may involve only the descending thoracic aorta but can extend the entire length of the aorta.